A manual labourer moves in March from Kashmir to Delhi and becomes acclimatized by working outdoors for a month. Compared with his responses on the first few days in the Delhi, for the same activity level after acclimatize on one would expect higher
1. Core temperature
2. Heart rate
3. Sweating rate
4. Sweat salt concentration

Correct answer: 3. Sweating rate

Explanation: The classic changes observed in heat acclimatization are lower heart rate during exercise; an increased sweating response; a lower core temperature during exercise, which is due to both the increased sweating response a lower thermoregulatory set point.